Glucose transporter in myocyte stimulated by insulin is
1. GLUT 1
2. GLUT 2
3. GLUT 3
4. GLUT 4

Correct answer: 4. GLUT 4

Explanation: GLUT 4 is the transporter in muscle and adipose tissue that is stimulated by insulin.